Eschar is formed by which of the following organism ?
1. B. Henslae
2. B. Anthracis
3. Staph aureus
4. E. coli

Correct answer: 2. B. Anthracis

Explanation: Ans. is 'b' i.e., B. AnthracisCutaneous anthrax is also called malignant pustule. The lesion starts as macule then typically progress through papular and vesicular or pustular stages to the formation of an ulcer with a blackened necrotic eschar.